Which of the following is not an advantage of supragingival margin?
1. They can be easily finished
2. They are more easily kept clean
3. Provides additional retention
4. Restorations can be easily evaluated at recall appointments

Correct answer: 3. Provides additional retention

Explanation: When additional retention is required, subgingival finish line is indicated.